At which level does the Common Carotid Artery end?
1. Level of Hyoid bone
2. Upper border of cricothyroid membrane
3. Upper border of cricoid cartilage
4. Upper border of thyroid cartilage

Correct answer: 4. Upper border of thyroid cartilage

Explanation: At the level of the upper border of the thyroid cartilage, in the carotid triangle, the common carotid artery ends by dividing into the external and internal carotid arteries on the right and left sides.